The best investigation for parameningeal rhabdomyosarcoma:
1. CSF cytology
2. MRI
3. CECT
4. SPELT scan

Correct answer: 2. MRI

Explanation: Ans. MRI